Taking diabetes as our example,if the cut-off point for blood glucose is lowered to detect Diabetes (say less than 120 mg per cent):
1. Sensitivity of the test is increased
2. Specificity of the test is increased
3. Predictive accuracy of the test is decreased
4. None of the above

Correct answer: 1. Sensitivity of the test is increased

Explanation: The sensitivity of the test is increased as we lower the cut off. The no. of False Positives will also increase. This Increase in sensitivity occurs at Expense of Specificity. i.e Specificity will decrease ( As sensitivity and specificity are inversely related to each other.so if Sensitivity Increases ---> Specificity Decreases and Vice Versa) Extra edge: - As test's false negative value increases, sensitivity decreases.